Gaucher's disease is due to enzyme deficiency of
1. Glucocerebrosidase
2. Sphingomyelinase
3. Hexosaminidase
4. Ceramidase

Correct answer: 1. Glucocerebrosidase

Explanation: (A) Glucocerebrosidase# Gaucher disease refers to a duster of autosomal recessive disorders resulting from mutations in the gene encoding glucocerebrosidase. This disease is the most common lysosomal storage disorder.> This affected gene encodes glucocerebrosidase, an enzyme that normally cleaves glucose residue from ceramide> As a result, glucocerebroside accumulates principally in the phagocytic cells of the body but in some forms also in the central nervous system.> Glucocerebrosides derived mainly from the cell membranes of leukocytes and erythrocytes.